Pertusis toxin acts by all of the following mechanisms except ?
1. ADP ribosylation of proteins associated with receptors
2. Increase cyclic AMP
3. Increased calcium release from sarcoplasmic reticulum
4. Acts through G alpha subunit

Correct answer: 3. Increased calcium release from sarcoplasmic reticulum

Explanation: Ans. is 'c' i.e., Increased calcium release from saroplasmic reticulum Pertusis toxin . Pertussis toxin is an exotoxin that has A and B subunits. . B subunit binds to the target cells whereas A subunit acts on the target. . First, the pertussis toxin itself gets activated by glutathione and ATP. . Once the toxin gets activated it activates cell membrane bound G proteins. . Pertussis toxin catalyzes the ADP ribosylation of the G proteins and activates them. . The activated G protein in turn activates adenylate cyclase, this results in an outpouring of cAMP which activates protein kinase and other intracellular messangers.